Aldosterone exerts action on
1. Proximal tubule
2. Early Distal tubules
3. Loop of Henle
4. Collecting duct

Correct answer: 4. Collecting duct

Explanation: Aldosterone acts on the late DT and CD cells by combining with an intracellular mineralocorticoid receptor - induces the formation of' aldosterone-induced proteins' (AlPs) which promote Na+ reabsorption by a number of mechanisms and K+ secretion. Aldosterone (AL) penetrates the cell from the interstitial side and combines with the mineralocorticoid receptor (MR). The complex translocates to the nucleus-promotes gene mediated mRNA synthesis. The mRNA then directs the synthesis of aldosterone-induced proteins (Alps). The AlPs activates Na+ channel, translocate Na+ channels from cytosolic site to the luminal membrane and Na+K+ATPase of the basolateral membrane, increase ATP production by mitochondria. All these changes promote Na+ reabsorption-more K+vand H+ is secreted indirectly ( Essentials of Medical Pharmacology, K.D Tripathi,6tth edition, page 570 )